The diagnostic feature of phaeohyphomycosis is the presence of:
1. Brownish spherical sclerotic bodies
2. Brownish septate hyphae within the lesions
3. Hard granules composed of hyphae
4. Converts from hyphal growth to yeast cells in the host

Correct answer: 2. Brownish septate hyphae within the lesions

Explanation: The diagnostic feature of chromoblastomycosis is the microscopic observation of brownish (melanized), spherical sclerotic bodies within the lesions. The diagnostic feature of phaeohyphomycosis is the presence of brownish (melanized), septate hyphae within the lesions. The hallmark of a mycetoma is localized swelling and the formation of fistulae that contain hard granules composed of hyphae and inflammatory tissue (eg, macrophages, fibrin). Sporothrix schenckii, the cause of sporotrichosis, is a dimorphic fungus that converts from hyphal growth to yeast cells within the host. Ref: Brooks G.F. (2013). Chapter 45. Medical Mycology. In G.F. Brooks (Ed), Jawetz, Melnick, & Adelberg's Medical Microbiology, 26e.